Drug used for treatment of methicillin resistant  staphylococcus aureus is :
1. Teicoplanin
2. Vancomycin
3. Both
4. None

Correct answer: 3. Both